Ingestion of arsenic causes
1. Hepatic carcinoma
2. Hepatic adenoma
3. Noncirrhotic portal fibrosis
4. Hepatic cirrhosis

Correct answer: 3. Noncirrhotic portal fibrosis

Explanation: Ans. is 'c' Non cirrhotic Portal fibrosis. "Chronic ingestion of Arsenic has been incriminated in causation of NCPF. High Hepatic arsenic levels in patients with NCPF have been reported" - API